In a outbreak of cholera in a village of 2,000 population, 20 cases have occurred and 5 died. Case fatality rate is
1. 1%
2. 0.25%
3. 5%
4. 25%

Correct answer: 4. 25%

Explanation: CFR= (Total number of deaths due to a particular disease / Total number of cases due to the same disease ) x100CFR=5/20x100CFR= 25 %(Refer: K. Park's Textbook of Preventive and Social medicine, 24th edition, pg no: 63)